Trendelenberg position produces decrease in all of the following except-
1. Vital capacity
2. Functional residual capacity
3. Compliance
4. Respiratory rate

Correct answer: 4. Respiratory rate

Explanation: D i.e. Respiratory rate